Triad of Wernicke's encehalopathy is all except
1. Global confusion
2. ophtalmoplegia
3. ataxia
4. hemiparesis

Correct answer: 4. hemiparesis

Explanation: Wernickes encephalopathyis a triad of GLOBAL CONFUSION, OPHTHALMOPLEGIA AND ATAXIA It is due to deficiency of thiamine It is 100% reversible Most important symptom needed for the diagnosis is confusion If the patients wernickes encephalopathy is not trated it would result in koraskoff's psychosis koraskoff's psychosis is a misnomer it is associated with confabulation that is fluent plausible lying, where the patient fills up with memory gaps with information and she is not aware that wat is she is saying is not truth Ref.Kaplon and Sadock, synopsis of psychiatry, 11 th edition, Pg.No625